Which among the following non opioid medication can be used to treat symptoms of opioid withdrawal syndrome?
1. Chlordiazepoxide
2. Bupropion
3. Methadone
4. Clonidine

Correct answer: 4. Clonidine

Explanation: Ans. D. ClonidineClonidine, Alpha 2 receptor agonist, is used to suppress some of the symptoms of mild opioid withdrawal. Clonidine is given orally, starting with doses of 0.1to0.3mg three or four times a day. In outpatient settings, a daily dosage above 1mg is not recommended due to the risk of severe hypotension. It is more effective on symptoms of autonomic instability but is less effective than methadone in suppressing muscle aches, cravings, and insomnia. It is particularly useful in the detoxification of patients maintained on methadone or buprenorphine.